Varenicline acts by ?
1. Partial nicotine receptor agonist
2. Nicotine receptor antagonist
3. Both agonist and antagonist at nicotine receptor
4. None of the above

Correct answer: 1. Partial nicotine receptor agonist

Explanation: Ans. is 'a' i.e., Partial nicotine receptor agonist Varenicline It is partial agonist at the nicotine receptor. It is used in nicotine addicts.